False statement about plague is -
1. It is a gram-negative coccobacillus responding to streptomycin
2. Bubonic plague is the most common form
3. Pneumonic plague develops most rapidly and is most frequently fatal
4. The bubo of plague is characterised by intense cellulitis

Correct answer: 4. The bubo of plague is characterised by intense cellulitis